The best restoration for posterior tooth with an undermined cusp with caries is:
1. Cast gold
2. Silver amalgam
3. Direct gold filling
4. Pin retained amalgam restoration

Correct answer: 1. Cast gold